Following is associated with maximum risk of invasive cervical cancer:-
1. LGSIL
2. HPV associated koilocytosis
3. High grade squamous intraepithelial lesion (HGSIL)
4. HSV related changes

Correct answer: 3. High grade squamous intraepithelial lesion (HGSIL)

Explanation: HSV & HIV predisposes more to pre invasive cervical cancer than invasive disease. Severity of dysplasia is directly proportional to malignancy. HPV 16 is the most common association, HPV 18 is this most malignant association with ca cervix LSIL (CIN I) , HSIL (CIN II and CIN III) and carcinoma in situ (CIS) are degrees of cervical dysplasia noted on a paps smear and confirmed on a colposcopic biopsy. Their risk of transforming into invasive cancer are CIS>HSIL>LSIL